MC hallucination in Schizphrenia is:
1. Visual
2. Auditory
3. Olfactory
4. Tactile

Correct answer: 2. Auditory

Explanation: Ans. B i.e.Auditory